In starvation, last to disappear:
1. Buccal fat
2. Fat around the abdomen
3. Fat around the eyes
4. Fat in the mesentery

Correct answer: 1. Buccal fat

Explanation: Ans. Buccal fat